Hyperextension of thigh is prevented by which of the following structures?
1. Bigelow ligament
2. Cruciate Ligament
3. Both of the above
4. Ischio femoral ligament

Correct answer: 1. Bigelow ligament

Explanation: Illiofemoral ligament or ligament of Bigelow ( Y-ligament) is the strongest ligament in the body. It extends from illium to the femur infront of the joint.